Which is an example of disability limitation
1. Resting the affected limb in neutral position
2. Arranging for schooling of a child suffering from PPRP
3. Reducing occurrence by polio immunisation
4. Providing calipers for walking

Correct answer: 1. Resting the affected limb in neutral position

Explanation: Disability: Any restriction or lack of ability to perform an activity in the manner or within the range considered normal for human being. Disability Limitation: It is mode of intervention when patient reports late in the pathogenesis phase. The objective of this intervention is to prevent or halt the transition at' the disease process from impairment to handicap. Sequence of events leading to disability and handicap have been stated as follows Disease -> Impairment -> disability --> handicap In the question: Reducing occurrence of polio by immunization = Specific protection Arranging for schooling of child suffering from PPRP and providing calipers for waIking -> Rehabilitation. Resting affected limbs in neutral position = Disability limitation.